Antipsychotic which causes agranulocytosis
1. lithium
2. rsiperidone
3. clozapine
4. aripiprazole

Correct answer: 3. clozapine

Explanation: CLOZAPINE * Importance * First SGA * TREATMENT FOR TREATMENT RESISTANT SCHIZOPHRENIA * TOC for TD * Anti suicidal * Psychosis in parkinsonian patients * Side effects * Agranulocytosis * Myocarditis * Seizure * Constipation * Weight gain * Metabolic syndrome Sialorrhea Ref. kaplon and Sadock, synopsis of psychiatry, pg no. 955